All of the following are true for Ramsay Hunt syndrome, EXCEPT:
1. It has a viral etiology
2. It involves Vth cranial nerve
3. May involve VIIIth cranial nerve
4. Results of spontaneous recovery are excellent

Correct answer: 4. Results of spontaneous recovery are excellent

Explanation: Herpes Zoster Oticus or Ramsay Hunt syndrome is characterised by facial paralysis, vesicular rash in the external auditory canal and pinna. Involvement of geniculate ganglion of sensory branch of facial nerve result in anaesthesia of face. Dizziness and hearing impairment can occur due to involvement of Vth and VIIIth cranial nerves. The prognosis for spontaneous recovery of normal facial function is poorer than in Bell's Palsy.